All mandibular motion is either rotation or
1. Transmotion
2. Transportation
3. Trans-subduction
4. Translation

Correct answer: 4. Translation